Adduction at wrist is caused by ?
1. Flexor carpi radialis
2. Extensor pollics longus
3. Extensor carpi ulnaris
4. Flexor digitorum profundus

Correct answer: 3. Extensor carpi ulnaris

Explanation: Extensor carpi ulnaris